Charas/ganja is obtained from?
1. Cannabis
2. Cocaine
3. LSD
4. None

Correct answer: 1. Cannabis

Explanation: Ans. is 'a' i.e., Resin exudate Cannabis Indica o Charas or Hashish or bhang or ganja is resinous exudates from the leaves and stems of plant cannabis indica or cannabis sativa.